Which drug would treat both dermatophysis and candidal infection ?
1. Ketoconazole
2. Griseofulin
3. Nystatin
4. Tolnafet

Correct answer: 1. Ketoconazole

Explanation: Ans. is 'a' i.e., Ketoconazole